Definition of perjury comes under:
1. IPC 191
2. IPC 193
3. IPC 197
4. IPC 198

Correct answer: 1. IPC 191

Explanation: IPC 191 Giving false evidence under oath (perjury definition) IPC 192 Fabricating false evidence IPC 193 Punishment for perjury (3-7 years) IPC 197 Issuing false medical certificates (7 years) IPC 198 Punishment for using false certificates (7 years)